A lady came with complaints of a bluish lesion over left side of forehead and left eye. Shows Irregular bluish lesion in Left superior conjunctive and forehead. Diagnosis is
1. Nevus of Ota
2. Nevus of Ito
3. Becker's nevus
4. Mongolian spot

Correct answer: 1. Nevus of Ota